Select the most common clinical sign or symptom for diagnosis Tuberous sclerosis
1. A 6-month-old child with blindness on the same side as a large facial lesion
2. An infant with infantile spasms, a hypsarrhythmic EEG pattern, and ash-leaf depigmentation on her back
3. An 18-year-old patient with a history of fractures and optic gliomas, who now has developed a malignant schwannoma
4. A 2-year-old child with multiple episodes of skin infection and failure to thrive

Correct answer: 2. An infant with infantile spasms, a hypsarrhythmic EEG pattern, and ash-leaf depigmentation on her back

Explanation: Tuberous sclerosis, an autosomal dominant condition, can result in severe intellectual disability and seizures. Infantile spasms, a hypsarrhythmic EEG pattern, hypopigmented lesions (ash-leaf spots), cardiac tumors, sebaceous adenomas, a shagreen patch (a roughened, raised lesion over the sacrum), and calcifications on the CT scan are all features of this condition. No specific treatment is available.